Threshold values for Diagnosis of Gestational diabetes from a 75g of OGTT is
1. 92, 180, 153
2. 92, 180, 155
3. 95, 180, 153
4. 95, 180, 155

Correct answer: 1. 92, 180, 153

Explanation: Threshold values for diagnosis of Gestational diabetes is Fasting: 92mg/dl1-hour: 180mg/dl2-hour: 153mg/dlOne or more of these values must be equaled or exceeded for the diagnosis of gestational diabetes(Ref: William's Obstetrics; 25th edition)